False statement regarding Myelodysplasia
1. Patient with 5q deletion have poor prognosis
2. Erythroid cells with basophilic stippling are seen
3. Micromegakaryocytes are seen in bone marrow
4. Hypolobulated neutrophils are seen in peripheral blood

Correct answer: 1. Patient with 5q deletion have poor prognosis

Explanation: A- patient with 5q deletion have poor prognosis Myelodysplasia is commonly associated with cytogenic defects such as 5q deletion in adults & Monosomy 7 in children. - Affects all cell lines leading to following changes: 1. Erythroid cells with basophilic stippling 2. Micromegakaryocytes seen in BM 3. Hypolobulated neutrophils are seen in peripheral blood K/a. Pseudo-Pelger Huet Cells. Neutrophils frequently contain decreased numbers of secondary granules, toxic granulations, and/or Dohle bodies. Pseudo-Pelger-Huet cells, neutrophils with only two nuclear lobes, are commonly observed, and neutrophils are seen occasionally that completely lack nuclear segmentation. Megakaryocytes with single nuclear lobes or multiple separate nuclei (pawn ball megakaryocytes) are also characteristic. 5q deletion is the commonest cytogenic defect & is associated with better prognosis. Patients with this defect has good response to drugs like Lenalidomide.